Anatomical snuffbox is formed by all except -
1. Abductor pollicis longus
2. Extensor pollicis longus
3. Extensor pollicis brevis
4. Extensor carpi radialis

Correct answer: 4. Extensor carpi radialis